Which of the following hormones have greatest effect on granulation tissue in wound healing?
1. ADH
2. Oestrogen
3. Cortisol
4. Parathornnone

Correct answer: 3. Cortisol